Ebstein anomaly - causes
1. Left atrial enlargement
2. Right atrial enlargement
3. Left ventricular enlargement
4. Right venticular enlargement

Correct answer: 2. Right atrial enlargement

Explanation: Ebstein anomaly is association with Right atrial enlargement. Ghai essential of pediatrics, eighth edition, p.no:423